A 56-year-old male patient develops an accentric hard breast lump over the past few months and a biopsy proves this to be breast carcinoma. Of all breast cancers, the rate of occurrence in males is which of the following?
1. <1%
2. 4%
3. 7%
4. 10%

Correct answer: 1. <1%

Explanation: Cancer of the breast in males constitutes <1% of total cases. It tends to present at a more advanced stage in men than in women, because it is often overlooked. It may easily be confused with the more commonly occurring condition of gynecomastia. Careful clinical radiological follow-up studies are indicated.